Maximum & minimum score in Glasgow coma scale is ?
1. 15 & 0
2. 14 & 3
3. 15 & 3
4. 15 & 1

Correct answer: 3. 15 & 3

Explanation: .GLASGOW COMA SCALE eye opening verbal response motor response spontaneous -4 oriented -5 obeys commands -6 to speech -3 confused -4 localises pain -5 to pain -2 inappropriate words -3 flexion to pain -4 none -1 incomprehensible words -2 abnormal flexion -3 none -1 extension to pain -2 none -1 maximum score:15 mild head injury:13-15 minimum score: 3 moderate head injury:9-12 severe head injury: less than 8(3-8) (Ref: SRB's Manual of Surgery, 5th edition, pg no 1093)